Drugs that can be used in opioid de–addiction are ?
1. Clonidine
2. Diazepam
3. Methadone
4. All of the above

Correct answer: 4. All of the above